The most common congenital anomaly in baby born to IDDM mother is :
1. Neural tube defect
2. Cardiovascular anomalies
3. G.I.T anomalies
4. Pulmonary anomalies

Correct answer: 2. Cardiovascular anomalies

Explanation: Ans. is 'b' i.e. Cardiovascular anomalies Conclusion of the study published at above website the relative risk for major malformations of infants of mothers with IDDM was 7,compared with infants of non diabetic mothers.The relative risk for major CNS and CVS defects were 15.5 and 18.0.The absolute risk for major malformations, CNS malformations and CVS malformations among IDDM were 18.4, 5.3 and 8.5 per 100 live births respectively.Congenital abnormalities in infants of diabetic mother.AnomalyAppropriate risk ratioPercent riskAll cardiac defectsx 188.5All central nervous system defectsx 165.3All congenital anomaliesx 818.4* The various anomalies that are seen in infants of diabetic mother are:Central nervous systemAnencephalySpina bifidaHoloprosencephalyEncephaloceleHeart and great vesselsTGVVSDCoarctation of AortaASD 3. Skeletal and spinalCaudal regression syndromeGenitourinaryRenal agenesisUreteral duplicationGastrointestinalAnal atresia ' Caudal regression syndrome is the most characteristic congenital anomaly seen with diabetes but cardiovascular malformation is the most common.